Saturated salt solution concentrates eggs of all, except-
1. Unfertilized egg of ascaris
2. Trichuris
3. Hymenolepsis nana
4. Enterobius vermicularis

Correct answer: 1. Unfertilized egg of ascaris

Explanation: Helminth eggs floating in saturated salt solution: Hell FATE Hell-Helminth,H.nana F-Fertilised eggs of Ascaris A-Ancylostoma duodenale T-Trichuris trichiura E-Enterobius vermicularis